TDM (Therapeutic Drug Monitoring) is done for all of the following except
1. Theophylline
2. Lithium
3. Metformin
4. Phenytoin

Correct answer: 3. Metformin

Explanation: TDM is done for drugs which have narrow therapeutic index or in cases where effect of drugs can not be measured clinically. Metformin is an antidiabetic drug whose effect can be monitored using blood sugar levels.